Which of the following is not a lower urinary tract infection?
1. Cystitis
2. Prostatitis
3. Urethritis
4. Pyelonephritis

Correct answer: 4. Pyelonephritis